Crouzon syndrome consists of
1. Maxillary hypoplasia
2. Syndactyly
3. Macrocephaly
4. Microcephaly

Correct answer: 1. Maxillary hypoplasia

Explanation: Crouzon syndrome consists of Autosomal dominant (FGFR2 Gene) Craniosynostosis involving coronal suture Wide set bulging eyes and beaked nose Maxillary hypoplasia Underdeveloped upper jaw& protruding lower jaw Dental problems, hearing loss Hydrocephalus Ref: Nelson's, 20th edition, page 2819